Which of the following is the induction agent of choice in day care anaesthesia?
1. Propofol
2. Ketamine
3. Sevoflurane
4. Methoxitone

Correct answer: 1. Propofol

Explanation: Propofol is an oily liquid employed as emulsion for Intravenous induction and short duration anaesthesia. Patient become unconsciousness 15-45 seconds following administration of the drug and recovers in 10 minutes. It is suitable for outpatient surgery because there is less residual impairment and low incidence of post operative nausea and vomiting. Ref: Miller's Anesthesia, 6th Edition, Page 2602; Fundamentals of Anaesthesia By Tim Smith, Colin Pinnock, Ted Lin, 3rd Edition, Page 92